Lingual Artery is a branch of:
1. Internal carotid artery
2. External carotid artery
3. Subclavian artery
4. Maxillary artery

Correct answer: 2. External carotid artery